A very low birth weight (VLBW) baby is one whose birth weight is less than ____ Kg
1. 1
2. 1.5
3. 2
4. 2.5

Correct answer: 2. 1.5

Explanation: Very Low Birth Weight (VLBW) baby is one whose birth weight is <1.5Kg. They are often premature (<37 weeks of gestation) Low Birth weight (LBW) baby is one whose birth weight is <2.5Kg ELBW (Extremely low birth weight) baby is one whose birth weight is <1Kg Ref: Nelson textbook of pediatrics 21st edition Pgno: 867